All of the following drugs have been used in the treatment of Kala-azar, except -
1. Sodium stibogluconate
2. Clindamycin
3. Amphotericin B
4. Pentamidine

Correct answer: 2. Clindamycin